In the management of pulmonary emboli, -PA (alteplase) is infused for:
1. 1-3 hours
2. 4-6 hours
3. 7-9 hours
4. 10-12 hours

Correct answer: 1. 1-3 hours

Explanation: Ans. A i.e. 1-3 hours Dose and time for infusion of Alteplase for Pulmonary embolism is 100 mg over 2 hours.